Vagal stimulation in heart decreases heart rate by
1. Decrease in action potential spike
2. Decrease in slope of prepotential
3. Increase in repolarisation
4. Decrease in conduction

Correct answer: 2. Decrease in slope of prepotential